The antimalignancy drug which is potentially cardiotoxic is :
1. Doxorubicin
2. Bleomycin
3. Fluorouracil
4. Dacarbazine

Correct answer: 1. Doxorubicin